The mu rhythm on EEG arises from?
1. Primary visual area
2. Primary auditory area
3. Primary sensorimotor area
4. Primary olfactory area

Correct answer: 3. Primary sensorimotor area

Explanation: mu(u) rhythm * 7 - 11 Hz normal waves. Seen during wakefulness and drowsiness. Arises from the Rolandic cortex (primary sensorimotor cortex) at rest. It can be unilateral, asynchronous and asymmetric.